True of carotid body tumor is -a) Non-chromaffin paragangliomab) Good prognosisc) Rarely metastasisesd) Similar to mixed parotid tumor
1. ab
2. bc
3. acd
4. abc

Correct answer: 4. abc